True about severe barbiturate poisoning except -
1. Hypothermia
2. Hypertension
3. Coma
4. Non-reactive pupil

Correct answer: 2. Hypertension

Explanation: There is fall in BP (hypotension).